When did WHO declare world free of small pox?
1. 1965
2. 1970
3. 1975
4. 1980

Correct answer: 4. 1980

Explanation: Small pox was declared eradicated in 198i0 by WHO. India was declared free of small pox in 1977. Ref: Park 21st edition, page 132 Chapter: Epidemiology in communicable diseases.